Total Skin Electron Irradiation is used for the treatment of –
1. Mycosis Fungoides
2. Psoriasis
3. Sezary Syndrome
4. Brain Metastasis

Correct answer: 1. Mycosis Fungoides

Explanation: Total Skin Electron Radiation is used primary in patients with Mycosis Fungoides.